In 3-year-child with polio paralysis, tendon transfer operation is done at:
1. 2 months after the disease
2. 2 years after the disease
3. 6-12 months after the disease
4. After skeleton maturation

Correct answer: 2. 2 years after the disease

Explanation: Tendon transfers: Done to equalise an unbalanced paralysis or to use the motor power of working muscles for more useful functions. Not done before 5 years of age as the child has to be manageable enough to be taught proper exercises. As the child is 3 years old, tendon transfer should be done after 2 years (at 5 years of age).